Dumping syndrome occur LEAST with which of the following procedures?
1. Selective vagotomy
2. Truncal vagotomy
3. Highly selective vagotomy
4. Syndrome occur with all of the above commonly

Correct answer: 3. Highly selective vagotomy

Explanation: It is least seen with highly selective vagotomy because the motility of the stomach is least affected in highly selective vagotomy and is most common with gastrectomy. Ref: Schwartz 9/e, Page 913 ; Bailey & Love 25/e, Page 1059.